Fenestration operation is which type of tympanoplasty-
1. Type-2
2. Type-3
3. Type-4
4. Type-5

Correct answer: 4. Type-5

Explanation: Ans. is 'd' i.e., Type-5 Types of tympanoplastyo Wullstein classified tympanoplasty into five typesTypel: Defect is perforation of tympanic membrane which is repaired with a graft. It is also called myringoplasty.Type II: Defect is perforation of tympanic membrane with erosion of malleus. Graft is placed on the incus or remnant of malleus.Type III: Malleus and incus are absent. Graft is placed directly on the stapes head. It is also called myringostapediopexy or columella tympanoplasty.Type IV: Only the footplate of stapes is present. It is exposed to the external ear, and graft is placed between the oval and round windows. A narrow middle ear (cavum minor) is thus created, to have an air pocket around the round window. A mucosa-lined space extends from the eustachian tube to the round window. Sound waves in this case act directly on the footplate while the round window has been shielded.Type V: Stapes footplate is fixed but round window is functioning. In such cases, another window is created on horizontal semicircular canal and covered with a graft. Also called fenestration operation.